Most specific marker for prostate cancer:
1. P.S.A
2. P.A.P
3. PL.A.P
4. N.S.E

Correct answer: 1. P.S.A

Explanation: Ans. (a) P.S.A (Prostate specific antigen)Ref.: Bailey & Love 26th ed. /1341Prostatic acid phosphataseIt is elevated in:* Prostate cancer* Metastatic prostate cancerProstate specific antigenAs the PSA level increases, so does the risk of this disease. When the PSA is 1 ng/mL, cancer can be detected in about 8% of men if a biopsy is performed. With a PSA level of 4-10 ng/mL, the likelihood of finding prostate cancer is about 25%P.L.A.PAs the PSA level increases, so does the risk of this disease. When the PSA is 1 ng/mL, cancer can be detected in about 8% of men if a biopsy is performed. With a PSA level of 4-10 ng/mL, the likelihood of finding prostate cancer is about 25%; with a level above 10 ng/mL, the likelihood is much higherN.S.E (NEURON SPECIFIC ENOLASE)Neuroblastoma /oat cell cancer